All tracts passed through superior cerebellar peduncles except
1. Tectocerebellar
2. Ceruleocerebellar
3. Olivo cerebellar
4. Cerebellorubral

Correct answer: 3. Olivo cerebellar

Explanation: The olivocerebellar fibres pass through inferior cerebellar peduncle.The tracts passing through superior cerebellar peduncle are:AFFERENTAnterior spinocerebellarTectocerebellarTrigeminocerebellarCeruleocerebellarHypothalamocerebellarEFFERENT:CerebellorubralDentatorubral, dentatothalamicCerebello-olivaryCerebelloreticular(Ref: vishram singh textbook of clinical neuroanatomy second edition pg 118)